Precancerous lesion of bone among the following is
1. Paget disease
2. Chronic osteomyelitis
3. Benign giant cell tumor
4. All of the above

Correct answer: 4. All of the above

Explanation: Precancerous lesions of bone:Multiple exostosesOllier's diseaseBenign giant cell tumorOsteoblastomaChondroblastomaChronic osteomyelitisPaget's disease(Refer: Nelson's Textbook of Pediatrics, SAE, 1st edition, pg no. 2474)